Which one of the following is NOT an ergot alkaloids
1. Bromocriptine
2. Lysergic acid diethylamide (LSD).
3. Ketanserin
4. Methysergide

Correct answer: 3. Ketanserin